In a case of hypersplenism all are true, EXCEPT
1. Cytopenia
2. Hyperplastic bone marrow
3. Normal bone marrow
4. Splenomegaly absent

Correct answer: 4. Splenomegaly absent

Explanation: (D) Splenomegaly absent # Hypersplenism: The complete blood count may reveal cytopenia of one or more blood cell types, which should suggest hypersplenism.> This condition is characterized by splenomegaly, cytopenia(s), normal or hyperplastic bone marrow & a response to splenectomy.